Ala of sacrum is not crossed by
1. Sympathetic chain
2. Iliolumbar aery
3. Obturator nerve
4. Ureter

Correct answer: 4. Ureter

Explanation: Ans. is 'd' i.e., UreterThe smooth medial pa of the ala of sacrum is associated with the subsequent 4 structures from medial to lateral side: 1. Sympathetic chain. 2. Lumbosacral trunk. 3. Iliolumbar aery. 4. Obturator nerve.The ventral ramus of L5 nerve is really tight that it grooves the ala.The rough lateral pa of the ala provides origin to iliacus muscle anteriorly and connection to the lumbosacral ligament posteriorly.